Gastric malignancy is predisposed with
1. Blood group O
2. Intestinal metaplasia
3. Gastric hyperplasia
4. Duodenal ulcer

Correct answer: 2. Intestinal metaplasia